A child suffering from acute diarrhoea is brought to the casualty and is diagnosed as having severe dehydration with pH of 7.23. Serum Na– 125, Serum K– 3, HCO3– 16. The best I.V. fluid of choice is –
1. 3% Saline
2. N/3 Saline + 10% dextrose
3. Normal saline
4. N/3 saline + 5% dextrose

Correct answer: 3. Normal saline

Explanation: The fluid used in severe dehydration

Best IV fluid for severe dehydration is Ringer's lactate.
An ideal preparation would be Ringer's lactate with 5% added dextrose, However, it is not available.
If Ringer's lactate is not available, normal saline solution (0.9% NaCl ) can be used.